All of the following have beta lactam ring except :
1. Penicillin
2. Linezolid
3. Cefotaxime
4. Imipenem

Correct answer: 2. Linezolid